How does cerebellum helps in coordination of movement-
1. By learning
2. By reflex activity
3. Comparing plan and movement
4. By regulating tone

Correct answer: 3. Comparing plan and movement

Explanation: Ans. is 'c' i.e., Comparing plan and movement o Cerebellum helps in coordination of movement by timing and comparison.o The cerebellum is believed to be a timing device that times the duration of agonist muscle activity and latency of antagonist activity, so that any movement is halted at correct pointo The cerebral cortex initiates agonistic muscle activity for starting limb movement (according to plan) and it is the function of cerebellum to stop the movement at correct point by inhibiting the agonists and stimulating the antagonistso The cortex signals the desired end-position of the limb by producing a distinctive pattern of stimulation of cerebellar cortex through mossy fibers. The actual position of the limb at any instant signaled through the climbig fibers to the purkinje cell. The movement stops when the purkinje cell receives identical signals from the mossy fibers and climbing fibers.